True about cytokines are all except:
1. It is polypeptide
2. Have autocrine and paracrine effects
3. Involve in leukocytic movements
4. It takes part in intrinsic enzymatic reaction

Correct answer: 4. It takes part in intrinsic enzymatic reaction

Explanation: D i.e It takes part in intrinsic enzymatic reaction They are polypeptideQ in nature.Induced their effect in three ways: Autocrine, paracrine & endocrine effects.Q Mediates natural immunity Affects leucocytic movementQRegulate lymphocytic growth activation & differentiation.Activate inflammatory cells & stimulate hematopoesis.